In adult polycystic kidney, all are true except:
1. Hypertension is rare
2. Hematuria is a common symptom
3. Cysts are seen in liver spleen and pancreas
4. Autosomal dominant transmission is seen.

Correct answer: 1. Hypertension is rare

Explanation: Ans. is 'a' i.e.,. hypertension is rare repeat from Nov. 2001